Which of the following is not a Sarcolemmal proteins?
1. Sarcoglycan
2. Dystrophin
3. Dystroglycan
4. Perlecan 1

Correct answer: 4. Perlecan 1

Explanation: The sarcolemma generally maintains the same function in muscle cells as the plasma membrane does in other eukaryote cells. It acts as a barrier between the extracellular and intracellular compartments, defining the individual muscle fiber from its surroundings. The lipid nature of the membrane allows it to separate the fluids of the intra- and extracellular compartments since it is only selectively permeable to water through aquaporin channels. As in other cells, this allows for the compositions of the compartments to be controlled by selective transport through the membrane. Membrane proteins, such as ion pumps, may create ion gradients with the consumption of ATP, that may later be used to drive transport of other substances through the membrane (Co-transport) or generate electrical impulses such as Action potentials. Perlecan is a key component of the vascular extracellular matrix, here it interacts with a variety of other matrix components and helps to maintain the endothelial barrier function. Perlecan is a potent inhibitor of smooth muscle cell proliferation and is thus thought to help maintain vascular homeostasis. Perlecan can also promote growth factor (e.g., FGF2) activity and thus stimulate endothelial growth and regeneration. Ref: guyton and hall textbook of medical physiology 12 edition page number:94,95,96